Lymphocytic infiltration is diagnostic in :
1. Brenner's tumour
2. Dysgerminoma
3. Dermoid cyst
4. Struma ovarii

Correct answer: 2. Dysgerminoma

Explanation: Dysgerminoma